Melanocytes are developed from the following
1. Ectoderm
2. Mesoderm
3. Endoderm
4. Neural crest

Correct answer: 4. Neural crest

Explanation: Derivatives of neural crest: Mnemonic:SOME GAP S-Schwann cells -Skeleton of face O-odontoblasts M-Meninges(pia and arachnoid) E-Endocardial cushion G-Ganglia(autonomic and dorsal root ganglia) A-Adrenal medulla -Aorticopulmonary septum P-Pigmant cells(melanocytes) -Pharyngeal arches(nerves and cartilage) -parafollicular c cells of thyroid